Point of distinction between partial mole to complete mole is:
1. Partial mole show trophoblastic proliferation with absent villi
2. Typical of partial mole is diffuse cellular atypia
3. Partial mole is more prone to tumor malignancy
4. Partial mole is triploid

Correct answer: 4. Partial mole is triploid

Explanation: Complete mole Partial mole No fetal tissue Fetal tissue present in a partial mole 90% are 46, XX, and 10% are 46, XY. All chromosomes are of paternal origin 69, XXX most common , or 69, XXY An Empty oocyte is fertilized by a haploid sperm (which then duplicates its chromosomes), or, an empty oocyte is fertilized by 2 sperms This results from fertilization of a haploid ovum by 2 sperms, both carrying X chromosome mostly Diffuse swelling of Chorionic villi Scalloping not seen Partial Swelling of chorionic villi Scalloping of villi seen There is diffuse trophoblastic hyperplasia Focal hyperplasia of trophoblastic tissue